In case of direct occipito posterior position most commonly encountered problem is
1. Intracranial injury
2. Cephalhematoma
3. Paraurethral tears
4. Complete perineal tears

Correct answer: 4. Complete perineal tears

Explanation: In face to pubis delivery the most common complication is perineal tear as the occiput is posterior and thus the longer biparietal diameter distends the perineum rather than the smaller bitemporal diameter.Hence in all such cases liberal episotomy should be given